Trichomoniasis is
1. Viral sexually transmitted disease.
2. Marker of high-risk sexual behaviour.
3. No evidence of vertical transmission.
4. Incidence decreases with patient age.

Correct answer: 2. Marker of high-risk sexual behaviour.

Explanation: Trichomoniasis is non viral sexually transmitted disease. Vertical transmission during birth is possible. It's incidence increases with patient age.